Whitening of the nail plates may be due to deficiency of:
1. Iron
2. Zinc
3. Albumin
4. Copper

Correct answer: 3. Albumin

Explanation: Ans. C: Albumin Leuconychia: Nails are white and are associated with hypoalbuminemia like cirrhosis of liver Nails and dermatology: Mees lines: Arsenic poisoning Oncholysis: Psoriasis Koilonychia: Iron deficiency anemia Koenens periungal fibroma: Tuberous sclerosis